Increased incidence of breast carcinoma is seen with-
1. Sclerosing adenosis
2. Atypical hyperplasia
3. Apocrine metaplasia
4. Duct papilloma

Correct answer: 2. Atypical hyperplasia

Explanation: Ans. is 'b' i.e., Atypical hyperplasia o Patients with a history-' of breast biopsy for benign breast disease have an increased risk of breast cancer. The degree of increase in risk depends on the specific epithelial abnormality. The table below shows the relative associated risks for patients with benign histologic findings.American Board of Pathology Histologic Classification of Benign DiseaseHistopatiioiogyApproximate Relative RiskNonproliferativeNo added riskCysts Duct ectasia Calcification Fibroadenoma Milk ductal epithelial hyperplasia Sclerosing adenosisNo added riskPapillomatosisSlight added riskRadial scars Complex sclerosing lesions?Moderate or florid hyperplasia1.5: 1 to 2:1Atypical hyperplasia (ductal and lobular)4:1Extensive ductal involvement of atypical hyperplasia 7:1 Lobular carcinoma in situ10:1Ductal carcinoma in situ10:1